A 25 year old overweight female was given fentanyl- pancuronium anesthesia for surgery. After surgery and extubation, she was observed to have limited movement of the upper body and chest wall in the recovery room. She was conscious and alert but the voluntary respiratory effort has limited. Her blood pressure and heart rate were normal. The likely diagnosis is -
1. Incomplete reversal of pancuronium
2. Pulmonary embolism
3. Fentanyl-induced chest wall rigidity
4. Respiratory depression

Correct answer: 1. Incomplete reversal of pancuronium

Explanation: Ans- A Incomplete reversal of pancuronium If it was a case of opioid-induced chest wall rigidity, sedation would also have been present which is not the case in the given scenario.